Which among the following is false regarding small bowel appearance on abdominal radiograph?
1. Valvulae conniventes are present
2. Peripheral distribution
3. Radius of curvature is small
4. Solid faeces are absent

Correct answer: 2. Peripheral distribution